Endoscopic nasal surgery is indicated in:
1. Chronic sinusitis
2. Epistaxis
3. Both
4. None

Correct answer: 3. Both

Explanation: INDICATIONS OF FESS 1. Chronic bacterial sinusitis unresponsive to adequate medical treatment. 2. Recurrent acute bacterial sinusitis. 3. Polypoid rhinosinusitis (diffuse nasal polyposis). 4. Fungal sinusitis with fungal ball or nasal polypi. 5. Antrochoanal polyp. 6. Mucocele of frontoethmoid or sphenoid sinus. 7. Control of epistaxis by endoscopic cautery. 8. Removal of foreign body from the nose or sinus. 9. Endoscopic septoplasty. Ref : Dhingra 7e pg 477